Kleptomania means:
1. Irresistible desire to steal things
2. Irresistible desire to drink
3. Irresistible desire to dress like opposite sex
4. Irresistible desire to set fire things

Correct answer: 1. Irresistible desire to steal things

Explanation: Ans. Irresistible desire to steal things